The Similarity between Vit C & Vit K is :
1. Both help in conversion of proline to hydroxy-proline
2. Both help in post-translational modification
3. Both have anti infective activity
4. Both are involved in coagulation cascade

Correct answer: 2. Both help in post-translational modification

Explanation: B i.e. Both help in post translational modification